Which of the following is a reflex mediated by vagus?
1. Bile flow from liver
2. Pancreatic secretion of bicarbonate
3. Cephalic phase of gastric secretion
4. Mucous secretion from the Brunner's glands

Correct answer: 3. Cephalic phase of gastric secretion